Congenital hypertropic pyloric stenosis is diagnosed by –
1. CT
2. USG
3. MRF
4. X-ray

Correct answer: 2. USG

Explanation: USG is the investigation of choice for CHPS